"Antitransglutaminase" antibodies are seen in:
1. Celiac disease
2. SLE
3. Crohns diseas
4. Tropical sprue

Correct answer: 1. Celiac disease

Explanation: Celiac disease